All of the following are approved for the treatment of relapsing-remmitting multiple sclerosis (RRMS) subtype, except-
1. IFN - beta - la
2. IFN - beta - lb
3. Glatiramer
4. Mycophenolate

Correct answer: 4. Mycophenolate

Explanation: Ans. is 'd' i.e. Mycophenololate Treatment of RRMS o Treatment of RRMS is divided into:? (i) In acute attack: Corticosteroids are given (ii) Prophylaxis of acute attack (relapse) during remission: Disease modifying agents for MS are used to reduce the biological activity. Treatment is started by IFN-131a or IFN-131b or Glatiramer or fingalimod. If there is poor response or intolerance to these drugs, Natalizumab is started. Treatment of progressive subtype of MS o Treatment is started with l FN-fil a or IFN-$lb. o If there is poor response or intolerance, one of the following should be considered: (i) Mitoxantrone; (ii) Azathio? prine; (iii) Methotrexate (iv) IV immunoglobulin; (v) Pulse cyclophosphamide; (vi) Pulse methylprednisolone.